Extremely low birth weight (ELBW) is called when birth weight is less than _____________
1. 2 kg
2. 2.5 kg
3. 1 kg
4. 1.5 kg

Correct answer: 3. 1 kg

Explanation: Low Birth weight (LBW) : Birth weight < 2.5kg
Very low birth weight (VLBW) : Birth weight < 1.5 Kg
Extremely low birth weight ( ELBW) : Birth weight < 1 Kg